Management of retinoblastoma:
1. Enucleation
2. Chemotherapy
3. Radiotherapy
4. All

Correct answer: 4. All

Explanation: A i.e. Enucleation; B i.e. Chemotherapy; C i.e. Radiotherapy